Which one of the following is the most significant risk factor for the development of gastric carcinoma?
1. Paneth cell metaplasia
2. Pyloric metaplasia
3. Intestinal metaplasia
4. Ciliated metaplasia

Correct answer: 3. Intestinal metaplasia

Explanation: " The risk of tumor development is greatly increased in patients in whom mucosal inflammation progresses to multifocal mucosal atrophy and intestinal metaplasia"- Robbins
"Serial endoscopic examinations of the stomach in patients with atrophic gastritis have documented replacement of the usual gastric mucosa by intestinal-type cells. This process of intestinal metaplasia may lead to cellular atypia and eventual neoplasia" - Harrison